Stapedial reflex is absent in:
1. VIth nerve lesion
2. Xth nerve lesion
3. VIIIth nerve lesion
4. Vth nerve lesion

Correct answer: 3. VIIIth nerve lesion

Explanation: (c) VIII nerve lesion(Ref. Anirban Biswas, 5th ed. 118; Cummings, 6th ed., 2055)In VIII nerve lesion Stapedial reflex is absent in both ipsilateral and contralateral ears as it is the afferent of the reflex.